Which of the following most commonly cause intraorbital metastasis in female :
1. Breast cancer
2. Cervical cancer
3. Ovarian cancer
4. Endometrial cancer

Correct answer: 1. Breast cancer

Explanation: Carcinoma breast cause metastasis in both bone and soft tissues. Brain secondaries may leads to intraorbital metastasis. For more information refer page no 558 of SRB'S manual of surgery ,5 th edition.